Middle cranial fossa is supplied by all EXCEPT
1. Maxillary nerve
2. Mandibular nerve
3. Ophthalmic nerve
4. Posterior ethmoidal nerve

Correct answer: 4. Posterior ethmoidal nerve

Explanation: Posterior ethmoidal nerve supplies the duramater at the floor of anterior (not middle) cranial fossa. Middle cranial fossa is supplied by meningeal branches of ophthalmic, maxillary and mandibular divisions of trigeminal nerve. Meningeal branch of the maxillary nerve (in the anterior part) and the mandibular nerve in the posterior part. Medially ophthalmic nerve gives sensory branches.